Virus associated with cancer cervix is:
1. HPV
2. HIV
3. EBV
4. HTLV

Correct answer: 1. HPV

Explanation: HPV has a established strong association in the preponderance of cervical cancer. Persistent HPV infection along with metaplasia resulting from any other etiology results in various degrees of dysplasia. HPV infection is diagnosed by demonstrating koilocytes(large cells with vacuolated cytoplasm and large bland nucleus) and dyskaryocytes (small clusters of cells with orangophilic cytoplasm and dark small nuclei) in cytology; it can also be confirmed with PCR - DNA. Ref: Recent Advances in Adolescent Health By Roza Olyai, Page 32 ; Cancer Associated Viruses By Erle Robertson, Page 509 ; Human Oncogenic Viruses By Jing-Hsiung James Ou, T. S. Benedict Yen, Pages 5-11